True about Hepatocellular Carcinoma ?
1. Most prevalent malignancy
2. Commonest liver tumor
3. HBV predisposes
4. Patient present in early stage

Correct answer: 3. HBV predisposes

Explanation: Ans. is 'c' i.e. HBV predisposes Most common cancers in the world are --> Lung > Breast > Colorectal. As already stated before, HCC presents quite late and thus only 15-20% cancers are resectable. Most patients with unresectable lesions die within a year after diagnosis.